Ultra short acting beta blocker most commonly used in anaesthesia is –
1. Esmolol
2. Nadalol
3. Propanalol
4. Atenolol

Correct answer: 1. Esmolol

Explanation: Esmolol is ultrashort acting β-blocker and is used for arrhythmias during anaesthesia.